Inferior oblique is supplied by the ..... carnial nerve :
1. 3rd
2. 4th
3. 5th
4. 6th

Correct answer: 1. 3rd

Explanation: A i.e., 3rd